Biomicroscopic examination of the fundus is performed with the help of:
1. -58.6 D Hruby lens
2. +78 D small diameter lens
3. Both of the above
4. None of the above

Correct answer: 3. Both of the above

Explanation: Ans. Both of the above